When treating hypertension chronically, orthostatic hypotension is maximum with:
1. Clonidine
2. Guanethidine
3. Prazosin
4. Propranolol

Correct answer: 2. Guanethidine